The disadvantage of elemental include diets in childrena) Hypertonic dehydrationb) Lower caloric inputc) Dumping syndromed) High nitrogen input
1. ad
2. bc
3. ac
4. bd

Correct answer: 3. ac